Chemical structure of hemoglobin is
1. Has 2 polypeptide chains with 4 heme
2. Has 4 polypeptide chains with 2 heme
3. Has 4 polypeptide chains with 4 heme
4. None of the above

Correct answer: 3. Has 4 polypeptide chains with 4 heme

Explanation: Hemoglobin is a protein with a molecular weight of 64,450.Hemoglobin is a globular molecule made up of four subunits . Each subunit contains a heme moiety conjugated to a polypeptide. Ref: Ganong's Review of Medical Physiology Twenty-Third Edition Page No: 523